First heart sound corresponds to:
1. Mitral valve opening
2. Mitral valve closing
3. Aortic valve closing
4. None of the above

Correct answer: 2. Mitral valve closing

Explanation: The first heart sound (S1) includes mitral and tricuspid valve closure. 

The First heart sound is associated with closure of the A-V Valves.
The Second heart sound Is associated with closure of the Aortic and Pulmonary Valves.
The Third heart sound occurs at the beginning of the middle third of diastole. Occasionally a weak, rumbling third heart sound is heard at the beginning of the middle third of diastole.  
Atrial contraction sound (Fourth heart sound). 

Reference: : Guyton and Hall Physiology page no  283,284